Most reliable marker for hypothyroidism:
1. T3
2. T4
3. TSH
4. Thyroxine binding globulin

Correct answer: 3. TSH

Explanation: Ans. (c) TSHRef : Harrison 19th ed. 12289* Best test for diagnosis of hypothyroidism is T.S.H (Thyroid Stimulating Hormone).* TSH can also be used for monitoring response to treatment.